Dysphagia is caused by all except-
1. Esophageal varices
2. Achalasia cardia
3. Stricture
4. Gastroesophageal reflux of long standing duration

Correct answer: 1. Esophageal varices

Explanation: Esophageal causes of dysphagia

The lesions may lie in the lumen, in the wall or outside the wall of esophagus.

a) Lumen : Obstruction to lumen can occur in atresia, foreign body, strictures, benign or malignant tumors.
b) Wall : It can be acute or chronic esophagitis, or motility disorders. The latter are : -
i)  Hypomotility disorders, e.g., achalasia scleroderma, amyotrophic lateral sclerosis.
ii) Hypermotility disorders, e.g., cricopharyngeal spasm, diffuse esophageal spasm.
c) Outsite the wall : The lesions cause obstruction by pressing on the esophagus from outside : -

Hypopharyngeal diverticulum.
Hiatus hernia
Cervical osteophytes
Thyroid lesions, e.g., enlargement, tumors, Hashimoto's thyroiditis.
Mediastinal lesions, e.g., tumors of mediastinum, lymph node enlargement, aortic aneurysm, cardiac enlargement.
Vascular rings (dysphagia lusoria).

Note :

Gastroesophageal reflux can cause esophageal stricture and thus dysphagia.